In a child presenting with obstructive Jaundice all are seen except -
1. Gamma glutamyl transpeptidase
2. Alkaline phosphatase
3. Glutamate dehydrogenase
4. 5' Nucleotidase

Correct answer: 3. Glutamate dehydrogenase

Explanation: Ans. is 'c' i.e., Glutamate dehydrogenase